Cytochrome C in apoptosis acts by
1. IL 10
2. Bcl-2
3. FADD
4. Apaf 1

Correct answer: 4. Apaf 1

Explanation: After releasing of cytochrome in cytosol, they binas to Apart 1 protein which leads to formation of a complex apoptosome. This complex binds to caspase-9 which is a critical initiator caspase of the mitochondrial pathway of apoptosis.
Also Know
Most critical organ for apoptosis = Mitochondrion
Most characteristic feature of apoptosis = Chromatin condensation
Marker for apoptosis = Annexin V
Molecular marker for apoptosis = CD 95